Duchenne muscular dystrophy is inherited as ?
1. X linked
2. Autosomal dominant
3. Autosomal recessive
4. Codominant

Correct answer: 1. X linked

Explanation: Ans. is 'a' i.e., X linked o The two most common forms of muscular dystrophy are X-linked: Duchenne muscular dystrophy and Becker muscular dystrophy.